Infliximab is directed against:
1. Tumor necrosis factor-a (TNF-a)
2. Interleukin-1 (IL-1)
3. Interleukin-12 (IL-12)
4. Intercellular adhesion molecule (ICAM)

Correct answer: 1. Tumor necrosis factor-a (TNF-a)

Explanation: Ans. is 'a' i.e., Tumour necrosis factor Infliximabis a cytokine inhibitor acting against Tumour necrosis factor (TNF-a)Infliximab is a chimeric antibody which consists of variable region of a murine (mouse) antibody to TNF-a and constant (Fc) region of a human antibody.* Uses - It is reserved for patients with severe rheumatoid arthritis who have failed to respond to adequate trials of at least two DMARDs.Crohn's colitisAlso knowThe role of another cytokine inhibitor EtanerceptIt inhibits the activity of TNF-aIt is a dimeric fusion of Two TNF receptors joined to constant (Fc) domain of human IgG, molecule.Unlike infliximab, it is an entirely human moleculeUsesRheumatoid arthritis patients who have failed to respond to adequate trials of at least two DMARDs.Juvenile rheumatoid arthritis Psoriasis